Treatment of choice for lichen planus ?
1. Topical corticosteroids
2. Systemic corticosteroids
3. Antihistaminics
4. Acitretin

Correct answer: 1. Topical corticosteroids

Explanation: Ans. is 'a' i.e., Topical corticosteroids Treatment of Lichen planus The first line treatment of lichen planus are topical corticosteroids. Second choice would be systemic corticosteroids for symptom control and possibly more rapid resolution. Oral antihistaminics are given for pruritic. PUVA can be used for extensive lesions. Acitretin can be used for mucosal lesions.